Primary idiopathic polymyositis does not involve -
1. Pelvic girdle muscles
2. Neck muscles
3. Ocular muscles
4. Pharyngeal muscles

Correct answer: 3. Ocular muscles